Culture of Lepra bacillus is done on -
1. L J medium
2. Robertson's cooked meat medium
3. Foot pad of mice
4. Sabraud's agar

Correct answer: 3. Foot pad of mice

Explanation: Ans. is 'c' i.e., Foot pad of mice * M. leprae is obligate intracellular organism, thus cannot be grown in cell free culture medium. Two animals are used for cultivation1. Armadillo (Nine banded armadillo) is highly susceptible and provides sufficient bacilli for a number of studies and for production of skin test reagent, Lepromin A.2. Foot pad of mice has been used for testing of sensitivity of antileprotic drug (replication in foot pad of mice is limited and less numerous than armadillo).* Generation time of M. leprae is 12-13 days.